Which of the following diseases is under international surveillance:
1. Influenza
2. Malaria
3. Polio
4. All of the above

Correct answer: 4. All of the above

Explanation: Ans. D: All of the above